Most common tumour of pineal region is?
1. Germinoma
2. Pineocytoma
3. Pineoblastoma
4. Secondaries

Correct answer: 1. Germinoma

Explanation: Most common tumour of pineal region is germinoma. Most common tumour of pineal parenchymal gland is pineocytoma.